Coarctation of aorta is most commonly associated with -
1. VSD
2. PDA
3. Bicuspid aortic valve
4. ASD

Correct answer: 3. Bicuspid aortic valve

Explanation: Ans. is 'c' i.e., Bicuspid aortic valve o 98% of coarctation of aorta is Juxta-ductal (at the origin of ductus arteriosus just below the origin of subclavian artery). o Bicuspid aortic valve is associated in more than 70% of patients. o It is also associated with : ----> PDA, VSD, ASD, TGA, Hypoplastic left heart o It is the most common CHD seen in Turner syndrome.